Which of the following determine path of placement or removal of RPD
1. Guiding planes
2. Retentive areas
3. Interferences
4. All of the above

Correct answer: 4. All of the above

Explanation: The factors that will determine the path of placement and removal are guiding planes, retentive areas, interference, and esthetics.